Vogt Koyanagi - Harada (VKH) syndrome is -
1. Chronic granulomatous uveitis
2. Chronic non-granulomatous uveitis
3. Acute purulent uveitis
4. None

Correct answer: 1. Chronic granulomatous uveitis

Explanation: (Ref: Khurana 7th/e p.175 & 4th/e p.156) VKH syndrome is a multisystem disorder characterized by chronic granulomatous uveitsi with exudative retinal detachment that is often associated with neurological and cutaneous manifestations.